Newborn has heart rate of 90bpm and gasping respiration. You start newborn on positive pressure ventilation with room air. Still the heart rate is 80bpm even after 60 seconds. What is your next step
1. Continue positive pressure ventilation with room air.
2. Consider tracheal intubation.
3. Positive pressure ventilation with 50% oxygen.
4. CPAP.

Correct answer: 2. Consider tracheal intubation.

Explanation: If heart rate remains < 100bpm persistently, then ventilation is considered inadequate. So tracheal intubation is considered.